Which of the following is a risk factor for development of gastric carcinoma?
1. Blood group O
2. Intestinal metaplasia type III
3. Duodenal ulcer
4. All of the above

Correct answer: 2. Intestinal metaplasia type III

Explanation: Blood group A, not O was considered as the risk factor for Gastric carcinoma but blood group A is also not considered as risk factor according to standard books. About duodenal ulcers standard books writes "Although once considered a premalignant conditions, it is likely that older literatures was confounded by mistakenly labeling inadequately biopsied ulcers and healing ulcers as 'benign' when in fact they were malignant to begin with". Intestinal metaplasia is a premalignant condition and among intestinal metaplasia , intestinal metaplasia type III is more likely to progress to gastric cancer. Ref: Schwartz 9/e, Page 927; Maingot's 10/e, Page 1006.